In PCR Acquaticus thermophilus is preferred over E.coli. because:
1. Thermostable at temperature at which DNA liquefies.
2. Proof reading done.
3. Done in more precisely
4. Does not require primer

Correct answer: 1. Thermostable at temperature at which DNA liquefies.

Explanation: A i.e. Thermostable at temperature at which DNA liquiefies